Which among the following is not a SERM?
1. flutamide
2. OrmeIoxifen
3. Tamoxifen
4. Raloxifen

Correct answer: 1. flutamide

Explanation: Flutamide is a nonsteroidal androgen receptor antagonist- used for prostate cancer Flutamide is indicated for the adult population only in the treatment of stage B2-C and stage D2 metastatic carcinoma of the prostate.There has been some off-label use for the treatment of hair loss, hirsutism, polycystic ovarian syndrome, and acne. Flutamide has been shown to have fewer side effects in women but continues to have hepatotoxic effects in this population. (Ref. Essentials of medical pharmacology TD Tripathi 7th edition page no.302)